After returning from a birthday party, within 6-8 hours a group of 7 friends began to develop non bloody diarrhoea which was associated with cramping abdominal pain and fever.They were admitted in emergency department and the stool samples were sent and reports showed the presence of Salmonella enteritidis. All are true statements except :-
1. There is no vaccine available for this illness
2. They causes typhoid fever
3. Antibiotic therapy is not indicated.
4. Bacteraemia occurs in < 10% of cases.

Correct answer: 2. They causes typhoid fever

Explanation: Salmonella enteritidis Gram negative, facultative anaerobe Causes nontyphoidal salmonellosis (NTS) but Enteric fever is caused by S.typhi/S.paratyphi Causes non-bloody diarrhoea which may be copious In healthy adults, disease is usually self-limiting and as the antibiotic therapy doesn't change the disease course it is not recommended Antibiotic therapy is advised in neonates and elderly people, who have more chances of developing bacteremia. Bacteremia occurs in < 10% cases Metastatic infections can occur in bones and joints No vaccination for Non Typhoidal Salmonellosis (NTS)